Ante's law provides an aid for
1. Selection of pontic
2. Selection of connector
3. Selection of retainers
4. Selection of abutments

Correct answer: 4. Selection of abutments